Following is a non-essential amino acid:
1. Phenylalanine
2. Proline
3. Tryptophan
4. Threonine

Correct answer: 2. Proline